Atopic Dermatitis is diagnosed by:
1. Patch test
2. Wood Lamp
3. Clinical Examination
4. #NAME?

Correct answer: 3. Clinical Examination

Explanation: C i.e. Clinical Examination Itch (or pruritis)Q is a major diagnostic criteria whereas, Denny Morgan infra orbital fold is a minor criteria for diagnosis of atopic dermatitis. Atopic dermatitis most commonly involves flexural surfaces like antecubital and popliteal fossa Q. However, in infantile phase, face and extensor surface (convexities) are more commonly involved. Spongiosis of epidermis Q is the histological hallmark of dermatitis (eczema). Contact dermatitis is diagnosed by patch testQ & Atopic dermatitis is diagnosed by clinical examinationQ. Clinical criteria for diagnosis of atopic dermatitis Family h/o allergy/atophy Personal history of allergy/atophy i.e. presence of other atopic condition asQ - rhinitis, hay fever, asthma, food allergy or eczemaQ. Extremily pruritic lesions commonly on antecubital or popliteal fossaf2 Dienny morgan foldQ, white dermographism Exacerbation & remissions. Pruritis and scratching made worse by environmental alteration, changes in temperature, sundry (in rainy season) & rough (woolen) clothingQ and leading to excoriation, lichenificationQ, dryness & Dennie's line. Clinical course lasting longer than 6 weeksQ. Lesions typical of eczematous dermatitis i.e. papules, erythematous macules and vesicles, which can coalesce to form patches and plaques. Disease Diagnosis made by Atopic Dermatitis Clinical ExaminationQ Contact Dermatitis Patch TestQ Donovanosis MicroscopyQ (demonstration of Donovan bodies or safety pin appearance)Q Syphilis Dark field microscopyQ, FTA-ABS, VDRL, MHA-TP, TPI Chancroid Gram stainine (gram -ve cocco? bacilli, school of fish or rail road appearance)Q LGV - Microscopic examination of giemsa stained scrapings for inclusion or elementary bodies - Culture, ELISA Tinea (Dermatophytes) KOH SmearQ Lupus vulgaris BiopsyQ